Bursa involved in clergyman's knee -
1. Prepatellar bursa
2. Infrapatellar bursa
3. Olecranon bursa
4. Ischial bursa

Correct answer: 2. Infrapatellar bursa

Explanation: Ans. is 'b' i.e., Infrapatellar bursa Prepatellar bursitisHousemaid's kneeInfrapatellar bursitisClergyman's kneeOlecranon bursitisStudent's elbowIschial bursitisWeaver's bottomOn lateral malleolusTailor's ankleOn great toeBunion